Incidence of congenital glaucoma is:
1. 1 in 1000 births
2. 1 in 5000 births
3. 1 in 10,000 births
4. 1 in 34,000 births

Correct answer: 3. 1 in 10,000 births

Explanation: Ans. 1 in 10,000 births